Caseous necrosis is not found in?
1. TB
2. Histoplasmosis
3. CMV
4. Syphilis

Correct answer: 3. CMV

Explanation: Ans. is 'c' i.e.,CMV